HLA B27 is seen associated with aEUR'
1. Rhematoid arthritis
2. Ankylosing spondylitis
3. Sjogren syndrome
4. Scieroderma

Correct answer: 2. Ankylosing spondylitis

Explanation: Ankylosing spondylitis HLA B27 is associated with: Ankylosing spondylitisQ Reiter's syndromeQ Reactive arthritis (yersinia, salmonella, shigella, Chlamydia) Psoriatic spondylitisQ